Commonest site of hypertensive bleed in the brain is:
1. Putamen
2. Thalamus
3. Frontal lobe
4. Pons

Correct answer: 1. Putamen